All are hyperkinetic movements EXCEPT?
1. Chorea
2. Atheotosis
3. Akinesia
4. Ballism

Correct answer: 3. Akinesia

Explanation: Ans. C AkinesiaRef: Ganong, 25th ed. pg. 246Hyperkinetic Movements and Sites of LesionChoreaLesion in Caudate nucleusAtheotosisLesion in Globus pallidusBallismLesion in Sub-thalamic nucleus